Best contraceptive for newly married healthy couple:
1. Barrier method
2. IUCD
3. Oral contraceptive pills
4. Natural methods

Correct answer: 3. Oral contraceptive pills

Explanation: Ans is 'c' i.e. Oral contraceptive pills For newly married couples oral contraceptive pill is the method of choice provided there are no contraindications. It has many noncontraceptive benefits along with effective contraception.Barrier and Natural methods have high failure rate.IUCD are not prescribed in nulliprous due to increase risk of PID and infertility.